All of the following are true regarding penicillin G except:-
1. Probenecid decreases it duration of action
2. It is active against gram positive organisms
3. It Splits into 6 amino penicillanic acid by amidase
4. It acts by inhibiting cell wall synthesis

Correct answer: 1. Probenecid decreases it duration of action

Explanation: Probenecid inhibits tubular secretion and increase the duration of action of penicillin G Penicillin G is short acting. To overcome this problem: Benzathine and procaine group can be added to penicillin G to make it long acting. Benzathine penicillin G is longest acting penicillin. Probenecid can be administered with penicillins. Former inhibits the tubular secretion. Penicillins have wide therapeutic index. A high initial dose can be used.